Dye for myelography is injected in which space :
1. Subdural
2. Epidural
3. Subarachnoid
4. Extradural

Correct answer: 3. Subarachnoid

Explanation: Myelography is the radiographic investigation of the spinal canal for the diagnosis of space occupying an obstructive lesion. It requires the contrast agent to be injected  into subarachnoid space.
MRI has replaced myelography, these days.